Relative bradycardia with fever is characteristic of -
1. Typhoid
2. Malaria
3. Tuberculosis
4. Brucellosis

Correct answer: 1. Typhoid

Explanation: Ans. is 'a1 i.e., Typhoid "Pulse temperature disoassociation " is a unique feature of Salmonella infection.o Patients with salmonella have "bradycardia " in the presence of high fevero Other important point Jo. remember about salmonella is that adult patients with Salmonella infection frequently show leucoepnia"Leucopenia with left shift is typically seen in adult while leucocytosis is more common in childrenClassical presentation of Salmonella : -Classic reports describe characteristic stage of typhoid fever: -First week of illnesso Rising "stepwise" fever and bacteremiao Chills are typical frank rigors are rareo Pulse temperature dissociation (relative bradycardia)Second week of illnesso Abdominal paino Rose spots (faint salmon colored macules on trunk and abdomen).Third week of illnesso Hepatosplenomegalyo Intestinal bleedingo Perforation due to ileocecal hyperplasia of "peyers " pathces.o Secondary bacteremia and peritonitiso Septic shock (altered level of consciousness)